The procedure where carious tooth tissue is removed by hand instruments, and the cavity is restored with a restorative material that 'sticks' to the tooth is
1. Preventive
2. ART
3. Type IV restoration
4. Pit and fissure sealants

Correct answer: 2. ART